Gastrosplenic ligament is derived from?
1. Splenic artery
2. Splenic vein
3. Dorsal mesogastrium
4. Ventral mesogastrium

Correct answer: 3. Dorsal mesogastrium

Explanation: ANSWER: (C) Dorsal mesogastriumREF: Langman's Medical Embryology 9th edition 293The gastrosplenic ligament (ligamentum gastrosplenicum or gastrolienal ligament) is part of the greater omentum. Embryonically the gastrosplenic ligament is derived from the dorsal mesogastrium. The gastrosplenic ligament is made of peritoneum that connects the greater curvature of stomach with the hilum of the spleen. Contains: Short gastric vessels and left Gastro-Epiploic vessels